CD marker of histiocytosis is ?
1. CD1A
2. CD 1B
3. CD1C
4. CD1D

Correct answer: 1. CD1A

Explanation: Ans. is 'a' i.e., CD1A CD1A is a T cell surface antigen important in dendritic cell presentation of glycolipids and lipopeptide antigens. It is used to diagnose Langerhans cell histiocytosis. The presence of Birbeck granules in the cytoplasm of tumor cells is characteristic of Langerhans cell histiocytosis. As Birbeck granules are not seen in all tumor cells by election microscopy the detection of S-100 and CD1a expression by immunohistochemical techniques aids in the diagnosis. Other immunohistochemical markers of Langerhans cell histiocytosis are HLA-DR, Langerin (CD 207), and CD 68.